Displacement reaction is characteristically seen in:
1. Mania
2. Phobia
3. Conversion disorder
4. Depression

Correct answer: 2. Phobia

Explanation: Displacement and inhibition are the defense mechanism involved in phobia.